Which of the following is a psychosis-
1. OCD
2. Phobia
3. Anxiety
4. Mania

Correct answer: 4. Mania

Explanation: Ans. is 'd' i.e., Mania Psychosiso Psychosis is a mental state involving the loss of contact writh reality', causing deterioration of normal social functioning. The characteristic features of psychosis are : -Gross impairment in reality testing, i.e., loss of contact with reality.Marked disturbance in personality and behavior with impairment in social, interpersonal and occupational functioning.Marked impairment in judgement.Loss of insight (insight is an assessment of howr aware the patient is of their own mental illness).Presence of characteristic symptoms Like delusions and hallucinations, these are called psychotic symptoms.o The major psychosis are : -Organic psychotic disorders, e.g., Delirium, substance related psychosis, head trauma.Non-organic psychosesMajor psychoses : - Schizophrenia, mood disorders (depression, mania, bipolar).Other psychotic disorders ( third psychosis): - Delusional disorders, acute and transient psychotic disorders, schizoaffective disorder.Neurosiso Neurosis is a general term referring to mental distress that, unlike psychosis, does not prevent rational thought and daily functioning. Characteristic features are : -Symptoms cause subjective distress to the patient.Insight is present (symptoms are recognised as undesirable).The personality and behaviour are relatively preserved as is the judgement.The contact with reality is preservedAbsence of organic causative factor.o Important neurotic disorders are Anxiety disorders (Panic), Phobia (Phobic anxiety disorder), obsessive compulsive disorder, Dissociative conversion disorder.